Which of the following joints findings Is most suggestive of an inflammatory, rather than an osteroahritis cause of joints pain?
1. Painful range of motion
2. Crepitus
3. Bony articular enlargement
4. Swelling and warmth

Correct answer: 4. Swelling and warmth

Explanation: The five classical signs of inflammation are heat, pain, redness, swelling, and loss of function (Latin calor, dolor, rubor, tumor, and functio laesa). Ref - Internet